Teacher slaps a student which results in permanent deafness, the injury is:
1. Simple injury
2. Grievous injury
3. Dangerous injury
4. Being a teacher it is not an illegal act

Correct answer: 2. Grievous injury

Explanation: Ans. Grievous injury